IUCD lasting for 10 years is:
1. Progestasert
2. CuT - 380A
3. CuT - 220
4. Nova T

Correct answer: 2. CuT - 380A

Explanation: Cu T 380A( ParaGard) Second generation IUD Carries 380 mm surface area of copper wire(314mm wrapped on vertical stem and 33mm on each arm). Frame contains barium sulphate and is radio opaque Polyethylene and barium sulfate T-shaped frame wound with copper, and two strings extend from the stem base. Currently approved for 10 years of use following insertion